Trichology is the forensic examination of
1. Hair
2. Finger nails
3. Skin
4. Lip prints

Correct answer: 1. Hair

Explanation: Examination of hair(Trichiology) can provide valuable information in crime investigation. forensic trichiology : The first step of forensic identification and comparison of hairs begins with whole mount light microscopy. The hair(s) in question must be identified as to species, race and body (somatic) origin. Human hairs can be readily distinguished from animal hairs in primarily by examining the cuticles and medullae .Individualizing human hairs is done by examining cortex features and by analyzing DNA. Forensic laboratory reports of hair comparisons normally will provide one of three answers: The hairs matched in microscopic characteristics, indicating an association. The hairs are not alike and therefore did not come from the same person. No conclusion can be drawn from the evidence. This may be due to insufficient specimen, racial mixtures, or unsuitable exemplars. Ref: FORENSIC MEDICINE AND TOXICOLOGY Dr PC IGNATIUS THIRD EDITION PAGE No 107